The quadrate lobe of the liver is present between
1. Porta hepatis and falciform ligament
2. Groove for ligamentum teres and gall bladder
3. Inferior vena cava and fissure for ligamentum venosum
4. Groove for inferior vena cava and fissure for ligamentum teres

Correct answer: 2. Groove for ligamentum teres and gall bladder

Explanation: The quadrate lobe is an area of the liver situated on the under the surface of the right lobe, bounded in front by the anterior margin of the liver; behind by the porta hepatis; on the right, by the fossa for the gall-bladder; and on the left, by the fossa for the umbilical vein.